Protein implicated in Familial Amyloidosis is
1. Serum amyloid A
2. b2-microglobulin
3. Amyloid b peptide
4. Transthyretin

Correct answer: 4. Transthyretin

Explanation: A Classification of AmyloidosisTypeProtein ImplicatedPrimaryPrincipally light chains of immunoglobulinsSecondarySerum amyloid A (SAA)FamilialTransthyretin; also rarely apolipoprotein A-1,cystatin C, fibrinogen, gelsolin, lysozymeAlzheimer's diseaseAmyloid b peptideDialysis-relatedb2-microglobulinRef: Harper's Biochemistry; 30th edition; Chapter 52; Plasma Proteins & Immunoglobulins; Table 52-7